All of the following are examples of Ball and Socket Joint except?
1. Talo-calcaneo-navicular
2. Malleus and Incus joint in middle ear
3. Hip joint
4. Incus and Stapes joint in middle ear

Correct answer: 2. Malleus and Incus joint in middle ear

Explanation: Talo-calcaneo-navicular joint is an example of Ball & Socket joint. Other examples of Ball & Socket joint: Shoulder joint Hip joint Incus & stapes joint in middle ear